Gene involved in rett syndrome-
1. P53
2. MECP2
3. RB
4. BRCA

Correct answer: 2. MECP2

Explanation: Ans. is 'b' i.e., MECP2o RETT syndrome is a neurodevelopment disorder.o Genes involve most commonly in RETT syndrome is MECP2 (methyl CpG binding protein-2) o Other genes which may also be involved are FOXG1 and CDKL5.